Dicrotic notch corresponds to?
1. Closure of AV valves
2. Closure of Aortic and pulmonic valves
3. Opening of AV valves
4. Opening of Aortic and pulmonic valves

Correct answer: 2. Closure of Aortic and pulmonic valves

Explanation: Ans. (b) Closure of aortic and pulmonic valvesRef.: Ganottg 25th ed. 1540The Dicrotic notch is small oscillations on the falling phase of the pulse wave caused by vibrations set up when the aortic valve snaps shut.